Which of the following parastitic infestation can lead to malabsorption syndrome?
1. Amoebiasis
2. Ascariasis
3. Hookworm infestation
4. Giardiasis

Correct answer: 4. Giardiasis

Explanation: Answer is D (Giardiasis) Giardia should be considered in most cases of diarrhoea, especially when it is prolonged and associated with marked weight loss. Syndromes include, acute diarrhoea, chronic diarrhoea and malabsorption.- CMDT Disease manifestation of giardiasis range from asymptomatic carriage to jiilminant diarrhoea and malabsorption.'